Which of the following is true regarding Renal Cell Carcinoma?
1. More common in males
2. May cause varicocele
3. May invade the renal vein
4. All the above

Correct answer: 4. All the above

Explanation: Renal Cell Carcinoma arises from the PCT and is usually polar in location. The tissue of origin for renal cell carcinoma (RCC) is the proximal renal tubular epithelium. It is more common in males. The classic triad of flank pain, hematuria, and flank mass. The most common presentations include hematuria (40%). Other signs and symptoms include weight loss (33%), fever (20%), hypertension (20%), hypercalcemia (5%), night sweats, malaise, and a varicocele, usually left sided, due to obstruction of the testicular vein (2% of males).